The commonly used theory to predict individual's behaviour regarding preventive health care is:
1. Social cognitive theory
2. Health belief model
3. Transtheoritical model
4. Salutogenic model

Correct answer: 2. Health belief model